Clozapine is used in:
1. Depression
2. Resistant schizophrenia
3. Mania
4. Delirium

Correct answer: 2. Resistant schizophrenia

Explanation: Ans: b (Resistant schizophrenia) Ref: Katzung, 10th ed, p. 457Clozapine is an atypical antipsychotic. It has weak D2 blocking action and produces few extrapyramidal side effects.lt inhibits 5-HT, receptor.The main adverse effects are agranulocytosis and other blood dyscrasias. It reduces seizure threshold. It is reserved for resistant cases of schizophrenia.